If stage Ib cervical cancer is diagnosed in a young woman, while performing radical hysterectormy which structure would you not remove:
1. Uteroseval and uterovesical ligament
2. Pelvic LN
3. Both ovaries
4. Upper third of vagina

Correct answer: 3. Both ovaries

Explanation: Cancer cervix rarely involves the ovaries.
∴ When radical/modified radical hysterectomy are being performed in young famales, ovaries should not be removed.